Drug which is contraindicated before 2nd stage of labor is:
1. Mifepristone
2. Oxytocin
3. Misoprostol
4. Ergometrine

Correct answer: 4. Ergometrine

Explanation: Drugs used for medical method of induction of labour are: Mifepristone Oxytocin Misoprostol (Prostaglandins El) Ergometrine is contraindicated in pregnancy, 1st stage of labour, 2nd stage of labour before crowning of the head and in breech delivery prior to crowning. Ref : Dutta book of obstetrics 8th Ed.